Type of wave in Metabolic Encephalopathy-
1. Alpha
2. Beta
3. Gamma
4. Delta

Correct answer: 4. Delta

Explanation: Harrison's principles of internal medicine 17th edition. *The type of EEG in metabolic encephalopathy typically reveals generalized slowing.(Delta waves -slower than 4/s).